Presence of trifluroacetic acid (TFA) in urine indicates that volatile anaesthetic agent used was
1. Halothane
2. Methoxyflurane
3. Trichloroethylene
4. None of the above

Correct answer: 1. Halothane

Explanation: Ans. is 'a' i.e., Halothane